Position of leg in fracture of neck of femur is- DELETE
1. External rotation with patella facing inwards
2. External rotation with patella facing outwards
3. Internal rotation with patella facing outwards
4. Internal rotation with patella facing inwards

Correct answer: 2. External rotation with patella facing outwards

Explanation: *In fracture neck femur, the limb is in external rotation with patella facing outwards. Ref: Essential of Orthopaedics surgery 3rd/e p. 1012